Ideal tissue for diatom study -
1. Bone marrow of femur
2. Lung
3. Liver
4. Brain

Correct answer: 1. Bone marrow of femur

Explanation: Reff: The synopsis of forensic medicine & Toxicology 28th edition pg: 194 Only in living body the diatoms are found in bone marrow, brain, liver and skeletal muscle etc. its also found in bile and urine etc. bone marrow is highly suitable and reliable after cutting the bone the marrow is curetted from the gutter.The bone marrow of long bones, such as the femur, tibia, humerus or sternum is examined.